The most common method for reporting composition of alloy by manufacturers is by (Metallurgy):
1. Weight %
2. Volume
3. Weight in gms
4. Volume %

Correct answer: 1. Weight %

Explanation: The most common method for reporting composition of alloy by manufacturers is by weight%.